Miliary mottling in chest x-ray is seen in all except
1. Tuberculosis
2. Sarcoidosis
3. Silicosis
4. Asbestosis

Correct answer: 4. Asbestosis

Explanation: Asbestosis does not cause miliary mottling.